A child presents with a rare cyanotic congenital heart disease with diminished pulmonary blood flow due to an abnormality of tricuspid valve. Which of the following is found in this cardiac condition?
1. Right ventricular dilatation
2. Right atrial dilatation
3. Left ventricular dilatation
4. Left atrial dilatation

Correct answer: 2. Right atrial dilatation

Explanation: This patient is suffering from Ebstein's anomaly which is a cyanotic congenital heart disease resulting from diminished pulmonary blood flow due to an abnormality of tricuspid valve. In this condition right atrium dilates because the abnormal tricuspid valve prevents the forward flow of blood as well as cause regurgitation of blood from right ventricle into right atrium. Ebstein's anomaly: Patients presents with history of cyanosis, effort intolerance and fatigue. JVP shows dominant V wave. ECG shows P pulmonale as well as P mitrale and right bundle branch block. R wave in V1 does not exceed 7mm, lead V6 shows a relatively tall R wave as well as broad S wave. Xray shows cardiac enlargement. Prominent main pulmonary artery segment, small aortic knuckle and diminished pulmonary vasculature. Ref: Essential Paediatrics By O P Ghai, 6th edn, page 410-1.